Entonox is combination of
1. 25% oxygen 25%N2O
2. 50% oxygen 50%N2O
3. 75% oxygen 25% N2O
4. 100% oxygen 0%N2O

Correct answer: 2. 50% oxygen 50%N2O

Explanation: B. i.e. (50% oxygen : 50% N2O) (132 - Lee s synopsis of anaesthesia 13th )ENTONOX - is the trade name for a 50 - 50 mixture of gaseous N2O and O2* The cylinder shoulder is painted white and blue in quarters and body is blueUses include - obstetric analgesia, and analgesia for dressed wounds, coronary infarction and dental surgery**PIN number for oxygen - 2, 5 for Entonox- 7. Nitrous oxide 3, 5, air 1, 5